Which of the following best reflects the highest level of community participation?
1. Planning of intervention by community
2. Intervention based on assessment of community needs
3. Provision of resources by community
4. Community supports and cooperates with workers

Correct answer: 1. Planning of intervention by community

Explanation: Though there is no standard recommended pattern of community participation, a flexible approach has to be followed as far as community participation is considered. By letting the community to plan the intervention, there is more active involvement of the community. Thus the community is able to plan, implement, utilize, operate and evaluate the health services. Ref: Park's Textbook of Preventive and Social Medicine, 19th Edition, Page 21.